Acute liver failure is caused by A/E?
1. Hepatitis A
2. Hepatitis B
3. Hepatitis E
4. Hepatitis C

Correct answer: 4. Hepatitis C

Explanation: Ans. is 'd' i.e., Hepatitis C Among hepatitis viruses, hepatitis A, B and E are common causes of acute liver failure. Among these, HBV is the most common cause. Note :- Hepatitis C can also cause acute liver failure, but it is very rare.